Which of the following is not true about silver sulphadiazine used in burns?
1. Local side effects include burning and itch
2. It is used for treating established infection
3. It is good for preventing infection of chronic ulcers
4. Released silver ion is effective for the antibacterial activity

Correct answer: 2. It is used for treating established infection

Explanation: Ans. is'b'i.e., It is used for treating established infection[Ref: KDT vh/e p. 7061Silver sulfadiazine:Used topically as I % cream, it is active against a large number of bacteria and fungi, even those resistant to other sulfonamides, e.g. Pseudomonas.It slowly releases silver ions, which appear to be largely responsible for the antimicrobial action.It is considered to be one of the most effective drugs for preventing infection of burnt surfaces and chronic ulcers and is well tolerated.However, it is not good for treating established infection.